The most common cyst of the oral region is
1. Dentigerous cyst
2. Keratosis cyst
3. Dermoid cyst
4. Periapical cyst

Correct answer: 4. Periapical cyst

Explanation: repeated question.